The most important diagnositic feature for beta thalassemia trait
1. Raised HbF
2. Reduced MCH
3. Reduced MCV
4. Raised HbA2

Correct answer: 4. Raised HbA2

Explanation: Ans. is 'd' i.e., Raised HbA2